Dilator papillae are supplied by
1. Oculomotor nerve
2. Sympathetic fibers from the fronto - orbital branch of trigeminal nerve
3. Postganglionic sympathetic fibers from cervical sympathetic chain
4. Postganglionic parasympathetic fibers

Correct answer: 3. Postganglionic sympathetic fibers from cervical sympathetic chain

Explanation: Dilator papillae are supplied by sympathetic fibers, which arises from the inter medio lateral horn of spinal cord segment of T-1 These pre-ganglionic T-1 sympathetic fibersclimbs up the cervical sympathetic chain and synapse in the superior (highest)cervical ganglion. Postganglionic fibers makes sympathetic plexus around the internal carotid artery and reach the dilator papillae muscle. Ref: Gray's 39e/p-227